Cancer management in which of following malignancies has dramatically increased the survival ?
1. Esophagus carcinoma
2. Glioblastoma multiforme
3. ALL in children
4. Cholangiocarcinoma

Correct answer: 3. ALL in children

Explanation: Improvement in survival from ALL with modern therapy is one of the greatest successes in the field of pediatric oncology.Improvement on supportive care and use of combination chemotherapy has led to a survival more than 80% overall and greater than 95% in children with low risk ALL.Risk based approach allows use of modest therapy for children who have historically had very good outcome thereby avoiding the toxic adverse effects of high intensity therapy.The 3 most important determinants of this risk are age at presentation,total WBC count at presentation and response to initial therapy. Reference:Essential pediatrics-Ghai,8th edition,page no:602.